In patients with osteoarthritis of knee joint, atrophy occurs most commonly in which muscle :
1. >Qudriceps only
2. >Hamstrings only
3. >Both (a) and (b)
4. >Gastrocnemius

Correct answer: 1. >Qudriceps only

Explanation: Quadriceps only Met Maheshwari 3/e, p 253;Apley's 8/e, p 472] In osteoarthritis of knee joint, the quadriceps muscle is usually wasted.